All are organophosphorus poison, EXCEPT -
1. Abate
2. Dibenanone
3. Propoxur
4. Malathione

Correct answer: 3. Propoxur

Explanation: Ans. is 'c' i.e. Propoxur * Below is given the classification of insecticides. This table is very important. Learn it by heart atleast those which are marked *